Which one of the following is not a treatment of gastroesophageal variceal hemorrhage
1. Sclerotherapy
2. Sengstaken tube
3. Transjugular intra hepatic portocaval shunt
4. Gastric freezing

Correct answer: 4. Gastric freezing

Explanation: Treatment consists of beta blockers Treatments include beta blockers, medical procedures to stop bleeding, and in rare cases, liver transplant. Medications-Beta blocker, Synthetic hormones, Antibiotics, and Blood transfusion Medical procedure-Nasogastric intubation, Rubber band ligation, Therapeutic endoscopy, Sclerotherapy, Transjugular intrahepatic portosystemic shunt, and Balloon tamponade Supportive care-IV fluids Ref: Sabiston 20th edition Pgno : 1444